In embryo, Hemopoiesis is first demonstrable in
1. Yolk sac
2. Liver
3. Spleen
4. Bone marrow

Correct answer: 1. Yolk sac

Explanation: In the early embryo, hemopoiesis is demonstrable first in the yolk sac, followed by the liver and finally bone marrow.Reference: William's Obstetrics; 24th edition; Chapter 7; Embryogenesis and Fetal Morphological Development